The commonest cardiac lesion in Tuberous sclerosis is
1. ASD
2. VSD
3. Mitral stenosis
4. Rhabdomyoma

Correct answer: 4. Rhabdomyoma

Explanation: MAJOR FEATURES OF TUBEROUS SCLEROSIS COMPLEX:Cortical tubersSubependymal noduleSubependymal giant cell astrocytomaFacial angiofibroma Periungual fibromaHypomelanotic macules (>3) Shagreen patchMultiple retinal hamartomasCardiac rhabdomyomaRenal angiomyolipomaPulmonary lymphangioleiomyomatosisApproximately 50% of children with tuberous sclerosis have cardiac rhabdomyoma.Most common cardiac lesion: cardiac rhabdomyomaMost common renal lesion: angiomyolipomaMost common skin lesion: hypomelanotic maculeMost common CNS lesion: cortical tubersMost common pulmonary lesion: lymphangiomyomatosis